After use of some drug, a person develops episodes of rage in which he runs about and indiscriminately injures a person who is encountered in way. He is probably addict of
1. Alcohol
2. Cannabis
3. Opium
4. Cocaine

Correct answer: 2. Cannabis

Explanation: B i.e. Cannabis Cannabis and its products contain (-)D?9-TetraHydroCannabinolQ (A9-THC) obtained from Indian hemp plant Cannabis Sativa. - Bhang = Dried leaves - Ganja = Dried female inflorescence - Charas/Hashish = Resinous extract from flowering tops and leaves - Marijuana / Marihuana Amok is an episode of acute violent behaviour for which the person claims amnesia. It is seen in cannabis abuseQ. Substance Characteristic features Cocaine Magnus symptomQ (cocaine bugs or Tactile hallucination)Q Cannabis Run Amok Q Amotivation syndrome Flash backs Alcohol Mc-Evan's Sign Q Morbid jealousy LSD Bad Trips Q Flash backs Q Amphetamine Paranoid hallucinatory syndrome Q (like paranoid schizophrenia) Phencyclidine (Angel dust) Dissociative anaesthesia